Palm of one hand is placed horizontally across the mouth and nostrils in
1. Manual strangulation
2. Palmar strangulation
3. Garrotting
4. Mugging

Correct answer: 2. Palmar strangulation

Explanation: palmar strangulation Here the palm of one hand is placed horizontally across the mouth and nostrils, it's pressure being reinforced by placing the other palm on the top of it at right angles, the heel of the palm above pressing upon the front of the neck. Ref: TEXTBOOK OF FORENSIC MEDICINE AND TOXICOLOGY KRISHNAN VIJ FIFTH EDITION PAGE 134